NOT a feature of Fragile X syndrome
1. Low set ears
2. X-linked dominant inheritance
3. Large gonads
4. Intellectual disability

Correct answer: 1. Low set ears

Explanation: Fragile X syndrome follows X-linked dominant inheritance Clinical features are

Elongated face
Increased risk of ADHD and Autism
Large gonads
Intellectual disability
Large ears (not low set ears)